Gastrojejunostomy is an example of:
1. Clean contaminated wound
2. Clean uncontaminated wound
3. Unclean uncontaminated wound
4. Unclean contaminated wound

Correct answer: 1. Clean contaminated wound

Explanation: Surgical Wound Classification According to Degree of Contamination Wound Class Definition Clean An uninfected operative wound in which no inflammation is encountered and the respiratory, alimentary, genital, or infected urinary tract is not entered Wounds are closed primarily and, if necessary, drained with closed drainage Surgical wounds after blunt trauma should be included in this category if they meet the criteria Clean-Contaminated An operative wound in which the respiratory, alimentary, genital, or urinary tract is entered under controlled conditions and without unusual contamination Contaminated Open,fresh, accidental wounds In addition, operations with major breaks in sterile technique or gross spillage from the gastrointestinal tract and incisions in which acute, nonpurulent inflammation is encountered are included in this category Dirty Old traumatic wounds with retained devitalized tissue and those that involve existing clinical infection or perforated viscera This definition suggests that the organisms causing postoperative infection were present in the operative field before the operation Ref: Sabiston 20th editionn Pgno: 245